Stimulation of which of the following nerve causes an elevation in the mood -
1. Olfactory N
2. Optic N
3. Trigeminal N
4. Vagus N

Correct answer: 4. Vagus N

Explanation: Left vagus nerve stimulation is used to elevate the mood in patients with treatment-resistant depression.